Pyramidalis is supplied by ?
1. Subcostal nerve
2. Ilioinguinal nerve
3. Iliohypogastric nerve
4. Genitofemoral nerve

Correct answer: 1. Subcostal nerve

Explanation: Ans. is 'a' i.e., Subcostal nerve